Mallory bodies are seen in all except
1. Alcoholic cirrhosis
2. Biliary cirrhosis
3. Cardiac cirrhosis
4. Wilson disease

Correct answer: 3. Cardiac cirrhosis

Explanation: Refer Robbins page no 843